Which one of the following clinical features is NOT senn in pheochromocytoma?
1. Hypertension
2. Episodic palpitations
3. Weight loss
4. Diarrhea

Correct answer: 4. Diarrhea

Explanation: In pheochromocytoma, there are paroxysms of hypertension and finally give way to continuous hypertensive state. During attacks, the patient complains of headache,palpitations,abdominal pain, and dizziness; pallor, vomiting, and sweating also occur. The child has a good appetite but because of the hypermetabolic state does not gain weight,and severe cachexia may develop. Page 1942, Nelson textbook of pediatrics 19th edition